Pharyngo conjunctival fever is caused by?
1. Adeno virus subgroup
2. Parainfluenza group
3. Coxsakie viruses
4. All of the above

Correct answer: 1. Adeno virus subgroup

Explanation: Adeno virus subgroup REF: Harrison's 18' ed chapter 186, http://en.wikipedia.org/wiki/Adenoviridae In humans, there are 57 accepted human adenovirus types (HAdV-1 to 57) in seven species (Human adenovirus A to G): A: 12, 18, 31 B: 3, 7, 11, 14, 16, 21, 34, 35, 50, 55 C: 1, 2, 5, 6, 57 D: 8, 9, 10, 13, 15, 17, 19, 20, 22, 23, 24, 25, 26, 27, 28, 29, 30, 32, 33, 36, 37, 38, 39, 42, 43, 44, 45, 46, 47, 48, 49, 51, 53, 54, 56 E:4 F: 40, 41 G:52